Post translational modification of lysine and proline is by
1. Vit A
2. Vit C
3. Vit B1
4. Vit D

Correct answer: 2. Vit C